All of the following are features of mullerian agenesis except :
1. 46 XX karyotype
2. Normal breast development
3. Absent vagina
4. Ovarian agenesis

Correct answer: 4. Ovarian agenesis

Explanation: Ans:D.)Ovarian agenesis Mullerian agenesis It is Mayer Rokitansky-Kuster Hauser syndrome. . Mullerian agenesis is a congenital malformation characterized by a failure of the Mullerian duct to develop, resulting in a missing uterus and variable degrees of vaginal hypoplasia of its upper portion. Mullerian agenesis (including absence of the uterus, cervix and/or vagina) is the cause in 15% of cases of primary amenorrhoea. Because ovaries do not develop from the Mullerian ducts, affected women might have normal secondary sexual characteristics but are infertile due to the lack of a functional uterus. Signs and Symptoms: An individual with this condition is hormonally normal; that is, the person will enter puberty with development of secondary sexual characteristics including thelarche and adrenarche (pubic hair). The person's chromosome constellation will be 46,XX. At least one ovary is intact, if not both, and ovulation usually occurs. Typically, the vagina is shortened and intercourse may, in some cases, be difficult and painful. Medical examination supported by gynecologic ultrasonography demonstrates a complete or partial absence of the cervix, uterus, and vagina. Classification: Typical MRKH - Isolated uterovaginal aplasia/hypoplasia Prevalence - 64 percent Atypical MRKH - Uterovaginal aplasia/hypoplasia with renal malformation or uterovaginal aplasia/hypoplasia with ovarian dysfunction Prevalence - 24 percent MURCS syndrome - Uterovaginal aplasia/hypoplasia with renal malformation, skeletal malformation, and cardiac malformation Prevalence - 12 percent